Which of the following is the most common site of secondaries in a case of choriocarcinoma?
1. Vagina
2. Urethra
3. Lung
4. Brain

Correct answer: 3. Lung

Explanation: In 75% of cases metastasis from choriocarcinoma occurs into the lungs and rest usually occurs in the vagina. Other organs which may also contain metastases are vulva, kidneys, liver, ovaries, brain and bowel.